The process of achieving limited removal of epithelial tissue in the sulcus while creating chamfer finish margin is called:
1. Rotary curettage
2. Mechanico surgical gingival retraction
3. Electro surgery
4. Periodontal curettage

Correct answer: 1. Rotary curettage